Which structure(s) in the cerebellum has/have a topographical representation of the body?
1. Dentate nucleus
2. Lateral hemispheres
3. Flocculonodular lobe
4. Vermis and intermediate hemisphere

Correct answer: 4. Vermis and intermediate hemisphere

Explanation: The vermis and the intermediate zone of the cerebellar hemisphere have a distinct topographic representation of the body. The axial portion of the body lie in the vermis part of the cerebellum, whereas the limbs and facial regions lie in the intermediate zones. These areas are responsible for coordinating the contraction of the muscles of the body.